The pathogenicity of E. histolytica is indicated by -
1. Zymodeme pattern
2. Size
3. Nuclear pattern
4. ELISA test

Correct answer: 1. Zymodeme pattern

Explanation: Option 1, 2, 3 Zymodeme (isoenzyme) analysis: - E. histolytica possesses several isoenzymes like mailc enzyme, hexokinase, isomerase and phosphoglucomutase and these isoenzymes contribute in pathogenesis. When these isoenzymes are subjected to electrophoresis based on electrophoretic pattern (Zymodeme pattern) and mobility of these isoenzymes, Entamoeba can be diagnosed and speciated. Option 4 Amebic antigen in serum indicates recent and active infection. ELISA is done for lectin antigen Amebic antibody: Serum antibodies appear only in the later stages of intestinal amebiasis, e.g. ELISA, IFA, indirect hemagglutination test (IHA).